Most radio resistant phase in cell cycle:
1. G1
2. Early S
3. Late S
4. G2

Correct answer: 3. Late S

Explanation: Radiation energy is absorbed by tissue causing ionization or excitation, which are responsible for various biological effects. Susceptibility of various phases of cell cycle of radiation: G2M>M>G1> early S> late S phase Phase of cell cycle Comment G2M>G2 * Most sensitive to radiation End of S phase * Most resistant to radiation G1 * Radiation exposure leads to chromosomal aberration G2 * Radiation exposure leads to chromatid aberration